Vigabatrin acts by:
1. GABA receptor inhibitor
2. Glutamate receptor inhibitor
3. GABA transaminase inhibitor
4. GABA transport inhibitor

Correct answer: 3. GABA transaminase inhibitor

Explanation: (Ref: Katzung, 14th ed. pg. 431-32)* VIGABATRIN is GABAergic drug acts by inhibiting enzyme GABA transaminase.* This enzyme inhibition causes increased level of GABA in the neuron.* Use:# DOC in infantile spasm + Tuberous sclerosis# Simple and complex partial seizure* Contraindicated in absence seizure, Myoclonic seizure, Pre-existing visual field defect.* Side effect: Visual field defect due to peripheral retinal atrophy, weight gain, amnesia* GABA uptake transport inhibitor: TIAGABINE